Most common type in dactylography is :
1. Wholrls
2. Loops
3. Composite
4. Arches

Correct answer: 2. Loops

Explanation: B i.e. Loops